Hydatidiform mole is characterized histologically by:
1. Hyaline membrane degeneration
2. Hydropic degeneration of the villous stroma
3. Nonproliferation of cytotrophoblast
4. Nonproliferation of syncytiotrophoblast

Correct answer: 2. Hydropic degeneration of the villous stroma

Explanation: Ans. is b, i.e. Hydropic degeneration of the villous stromaRef. Dutta Obs. 7/e, p 191Pathological features of H moleNaked eye appearance* Uterus is filled with multiple clusters of grape like cysts.Q* No trace of embryo/amniotic sac.* Marked proliferation of synctio and cyto trophoblast* Marked thinning of stromal tissue due to hydropic degeneration.* Absence of blood vessels* Villous pattern is maintained.Q